Which of the following conditions is least likely to present as an eccentric osteolytic lesion -
1. Aneurysmal bone cyst
2. Giant cell tumor
3. Fibrous cortical defect
4. Simple bone cyst

Correct answer: 4. Simple bone cyst